Figure of 8 in chest X-ray ?
1. Supracardiac TAPVC
2. Tetralogy of fallot
3. TGA
4. None of above

Correct answer: 1. Supracardiac TAPVC

Explanation: Ans. is 'a' Supracardiac TAPVC Teralogy of fallot--* boot shaped heart Transposition of great vessel-* egg on side TPVC (supracardioe) --> snownan or figure of 8 configuration